Red bone marrow is involved in erythropoiesis from
1. 3 week to 3 months intra uterine
2. 3 months to 5 months Intrauterine
3. >5 months IU
4. > 5 months

Correct answer: 3. >5 months IU

Explanation: Erythropoiesis:
Intra uterine Life:

3 wk to 3 month —> Yolk sac
3 month to 5 month —> Liver + spleen
> 5 Month —> Red bone marrow

 
Birth to 20 yrs —> Flat + long bones
 
> 20 yrs — Flat bone